Amount of drug left after four plasma half lives-
1. 6.25%
2. 12.50%
3. 25%
4. 50%

Correct answer: 1. 6.25%

Explanation: Ans. is 'a' i.e., 6.25% Half life Drug left After 1 t'" 50% After 2 t'" 25% After 3 til2 125% After 4 t"2 6.25% After 5 ty2 3.125%